The success rate following tubal recannalisation is low after :
1. Irwins method
2. Pomeroy's method
3. Fimbriectomy
4. Madlener's method

Correct answer: 3. Fimbriectomy

Explanation: Fimbriectomy